A four-fold increase in the titre obtained in Weil Felix reaction is diagnostic of -
1. Rickettsial infection
2. Fungal infection
3. Spirochetal infection
4. Viral infection

Correct answer: 1. Rickettsial infection